Beta-2 transferrin is found in ?
1. Blood
2. Urine
3. Tear
4. CSF

Correct answer: 4. CSF

Explanation: Ans. is 'd' i.e., CSFBeta-2 transferrin is an isoform of transferrin.It is found in cerebrospinal fluid (CSF).It is not found in other body fluids (blood, mucus, tear, saliva, urine).Therefore, it is a specific marker for CSF and is used for diagnostic of CSF leaks.